All of the following transport processes follows saturation kinetics except
1. Facilitated diffusion
2. Na+ - Ca2+ exchanger
3. Simple diffusion
4. Na+ coupled active transport

Correct answer: 3. Simple diffusion

Explanation: Carrier dependent transport follows saturation kinetics. Simple diffusion does not require carrier protein.Ref: Guyton; 9th edition; Chapter 4 Transport of Substances Through Cell Membranes